Gustatory hallucinations are most commonly associated with -
1. Temporal lobe epilepsy
2. Grand mal epilepsy
3. Anxiety disorders
4. Tobacco dependence

Correct answer: 1. Temporal lobe epilepsy